Cryoprecipitate contains
1. Factor VIII and fibrinogen
2. Factor VII and fibrinogen
3. Factor V and Factor VII
4. Factor VII and Factor VIII

Correct answer: 1. Factor VIII and fibrinogen

Explanation: Answer: a) Factor VIII and fibrinogen CryoprecipitateMade from fresh plasma by cooling the plasma to 4degC and collecting the supernatant layerContents: Fibrinogen, factor VIII, vWF, factor XIII